Radioisotope of choice for Triple phase Bone scan
1. Tc99m-Sestamibi
2. Tc99m-Pertectinate
3. Tc99m-Methyl diphosphonate
4. Tc99m-Thallium201 subtraction

Correct answer: 3. Tc99m-Methyl diphosphonate

Explanation: Tc99m-Sestamibi: Parathyroid scanTc99m-Pertectinate: Meckle's diverticulum, Salivary gland scintigraphyand Thyroid scan.Tc99m-Methyl diphosphonate: Bone scanTc99m-Thallium201 subtraction: Second choice for detecting parathyroidadenomas.